Sign seen in "Large duct papilloma" is?
1. Nipple discharge
2. Breast mass
3. Skin excoriation
4. Lymph node involvement

Correct answer: 1. Nipple discharge

Explanation: Duct papilloma are epithelium lined true polyps of breast lctiferous duct. C/f: papilliferous swelling near the nipple orifice. Blood stained discharge from nipple is common, serous or serosanguinous dicharge can also occur. SRB's Manual of Surgery.Edition -5. Pg no:528